G-6- Phosphatase deficiency is seen in:
1. Von Gierke's disease
2. Taysach's disease
3. Pompe's disease
4. Anderson’s disease

Correct answer: 1. Von Gierke's disease